Papular-purpuric 'Gloves and socks' syndrome is caused by
1. EB virus
2. West Nile virus
3. Parvo virus B19
4. KFD virus

Correct answer: 3. Parvo virus B19

Explanation: c. Parvo virus B19(Ref: Nelson's 20/e p 1570-1571)Papular purpuric "gloves-and-socks" syndrome (PPGSS) is a self-limited condition associated with Parvovirus B19 infection & is characterized by fever, pruritus, painful edema & erythema localized to distal extremities in a distinct "gloves-and-socks" distribution, followed by acral petechiae & oral lesions.